Most mucostatic among the following
1. Impression compound
2. Alginate
3. ZOE paste
4. Elastomer

Correct answer: 3. ZOE paste